Periventricular calcification is often due to -
1. Toxoplasmosis
2. CMV infection
3. Congenital syphilis
4. All of the above

Correct answer: 2. CMV infection

Explanation: Periventricular calcification is seen in CMV infection.